Brown tumor is seen in
1. Hyperthyroidism
2. Hypothyroidism
3. Hyperparathyroidism
4. Hypoparathyroidism

Correct answer: 3. Hyperparathyroidism

Explanation: Primary hyperparathyroidism is a disease characterized by excessive secretion of parathormone which results in increased osteoclastic activity therby causing bone loss . The bone loss predisoses to microfractures and secondary hemorrhages that elicit an influx of macrophages and an ingrowth of reparative fibrous tissue, creating a mass of reactive tissue known as brown tumor . Ref: Robbins and cotrans 9e Pg 1102